Most common site of origin of adamantinoma is -
1. Mandible near molar tooth
2. Middle alveolar margins
3. Hard palate
4. Mandible near symphisis menti

Correct answer: 1. Mandible near molar tooth

Explanation: Ameloblastoma occurs most often in the mandible in the area of the molars.
It is an epithelial tumor arising from ameloblast (enamel-forming cells).
Pathologically it behaves like a basal cell carcinoma i.e., it is a malignant tumour which is locally invasive but does not metastasize.
It causes expansion mostly of the outer table so the swelling is more evident from outside than from inside of the mouth.
Cystic degeneration leads to an area of softening and egg - shell crackling on palpation.